"Schiller Dual" bodies are seen in
1. Endodermal sinus tumor
2. Granulosa cell tumor
3. Dysgerminoma
4. Dermoid

Correct answer: 1. Endodermal sinus tumor

Explanation: Ans. a (Endodermal sinus tumor) (Ref. Dutta Gynecology 4th/pg. 354)SCHILLER-DUVAL BODIES are characteristic structures resembling fetal glomeruli composed of a central blood vessel surrounded by embryonal cells lying within a space also lined by embryonal cells. They are seen in endodermal sinus tumors (yolk sac tumors). AFP is its tumor marker.